Which one of the following diseases or conditions predisposes a patient to acetaminophen toxicity?
1. Type 1 diabetes
2. Type 2 diabetes
3. Alcoholism
4. Pernicious anemia

Correct answer: 3. Alcoholism

Explanation: The enzyme that produces the toxic NAPQI, CYP2E1, is induced by alcohol. Diabetes (either type 1 or type 2) will not lead to an induction of CYP2E1, nor will pernicious anemia (intrinsic factor deficiency) or obesity (in the absence of alcoholism). Chronic alcoholics have a reduced tolerance for acetaminophen because of the induction of the MEOS, which results in increased levels of CYPE21.